The cardiac marker that is elevated the earliest in a case of Myocardial Infarction, among the following is -
1. CPK-MB
2. LDH
3. Myoglobin
4. Troponin I

Correct answer: 3. Myoglobin

Explanation: Ans- C Myoglobin